TESPAL done in -
1. Severe epistaxis
2. Rhinophyma
3. CA Maxillary Sinus
4. Multiple Antrochoanal polyps

Correct answer: 1. Severe epistaxis

Explanation: Ans. is'a' i.e., Severe epistaxisManagement of intractable spontaneous epistaxis.TESPAL - transnasal endoscopic sphenopalatine artery ligationIndication:Epistaxis not responding to conventional conservative management.Posterior epistaxis